5 year old Boy with something coming out of the anus with pedicle attached to rectal/ anal wall and bright red bleeding- most common diagnosis
1. Juvenile rectal Polyp
2. Pedicle pile
3. Fissure
4. CA Colon

Correct answer: 1. Juvenile rectal Polyp

Explanation: Answer- A. Juvenile rectal PolypJuvenile polyps are the most common type of childhood polyp, occurring in up to l% of preschool children. They are usually solitary polyps found in the rectum which most commonly present with rectal bleeding.These are hamartomatous pollps, which are usually pedunculated but can be sessile.